Most characteristic Feature of lichen planus is:
1. Thinning of nail plate is most common
2. Non scarring alopecia
3. Violaceous lesions on skin and mucous membrane
4. Wickham striae

Correct answer: 4. Wickham striae

Explanation: D i.e. Wickham Striae